Which of the following is not a feature of Minimal change disease?
1. Hypertension
2. Edema
3. Proteinuria
4. Responsive to steroid therapy

Correct answer: 1. Hypertension

Explanation: Ans. is 'a' i.e., Hypertension Minimal change disease (lipoid nephrosis)* Minimal Change Disease is the most common cause of Nephrotic syndrome in children.* Edema and Selective proteinuria are features of nephrotic syndrome. Fever may be present on account of increased susceptibility to infection.* Minimal change disease prsents with insidious onset of nephrotic syndrome in children below 6 years of age.* Hypertension is not a feature of nephrotic syndrome and is rare in Minimal change disease. Hematuria (a finding of nephritic syndrome) is also rare.* Pathological findings include :1. Light microscopy - No abnormality2. Electron microscopy - Obliteration (loss) and fusion of foot processes of epithelial cells.3. Immunofluorescence - No deposits of immune reactants4. Serum complements - Normal levels* Urine shows lipid cast, hyaline cast, no RBC or WBC.* Minimal change disease has very good prognosis with excellent response to steroids.